The desired level of HBA1C in diabetic pregnant women is
1. <= 5%
2. <= 5.5 %
3. <= 6%
4. <= 7%

Correct answer: 3. <= 6%

Explanation: Self-Monitored capillary blood glucose GoalsFasting<= 95mg/dlPremeal<= 100mg/dl1-hr postprandial<= 140mg/dl2-hr postprandial<= 120mg/dlMean100mg/dlHBA1C<= 6%(Ref: William's Obstetrics; 25th edition)